Reference protein is
1. Milk
2. Meat
3. Egg
4. Pulses

Correct answer: 3. Egg

Explanation: Ans. c (Egg). (Ref. Park, PSM, 17th/pg.429)EGG# It is a standard protein against which quality of other proteins is compared (reference protein).# An egg weighing 60 g contains:- 6 g of protein,- 6 g of fat,- 30 mg of calcium- 1.5 mg of iron and- supplies about 70 kcal of energy.# Except for vitamin C and carbohydrates, egg contains all the nutrients.# It has all 9 essential aminoacids.# Net protein utilization (NPU) which combines in a single value the biological value and digestibility, is- 100 for egg,- 80 for meat and- 75 for milk.# Cholesterol content of egg is 250 mg/egg.# Biotin deficiency is caused by antibiotic overuse & ingestion of raw eggs (avidin in egg white avidly binds to biotin).